Recurrent polyps are seen in?
1. Antrochoanal polyp
2. Ethmoidal polyp
3. Nasal polyp
4. Hypertrophic turbinate

Correct answer: 2. Ethmoidal polyp

Explanation: Ethmoidal polyps are common in adults, major aetiology being an allergy. Usually, occur bilaterally and in multiple masses. Originates from the ethmoidal sinus, uncinate processes, middle turbinate and middle meatus. They mostly grow anteriorly and may present at the nares. These small and grape-like masses recur very often. Management mainly includes polypectomy, endoscopic surgery or ethmoidectomy. Ref - PL DHINGRA diseases of ear nose and throat, 6th edition, page no 175